GVHD -
1. Associated with solid organ transplantation
2. Graft must contains immunocompitant T-cell
3. It is seen in immunosupressed persons
4. All

Correct answer: 4. All

Explanation: Ans. is 'a' i.e., Associated with solid organ transplantation; 'b' i.e., Graft must contains immunocompetant T-cell; 'c' i.e., It is seen in immunosupressed persons